Post Traumatic stress syndrome is due to
1. Head Injury
2. CVD
3. Minor Stress
4. Major Life threatening events

Correct answer: 4. Major Life threatening events

Explanation: D i.e. Major life threatening events